Which of the following CNS tumor shows increased growth during pregnancy?
1. Glioblastoma Multiforme
2. Oligodendroglioma
3. Craniopharyngioma
4. Meningioma

Correct answer: 4. Meningioma

Explanation: Meningioma expresses progesterone receptors and hence shows increased growth during pregnancy.